A 20yr old patient with swelling in waist joint Histopathology shows spindle cells and verrocay bodies Most likely diagnosis
1. schwannoma
2. Neurofibroma
3. Neuroma
4. Lipoma

Correct answer: 1. schwannoma

Explanation: Histopathology of Schwannoma shows Antoni A pattern Antoni B pattern and verrocay bodies/ ref : robbins 10th ed